Conventional cytogenetics are difficult in solid tumors especially in case of carcinoma cervix ?
1. High mitotic rate
2. Bacterial contamination of the specimen
3. Good metaphase activity
4. All

Correct answer: 2. Bacterial contamination of the specimen

Explanation: Ans. is 'b' i.e.,Bacterial contamination of the specimen Cytogenetics in Cancers o Cytogenetics is the study of the genetic constitution of individuals at the level of cells and chromosomes. o Cytogenetic studies of cancer have become an essential tool in clinical management of cancer patients. o Cytogenetic studies may be :- i) Conventional :- eg. karyotyping ii) Molecular techniques eg. FISH, multiplex FISH, comparative genomic hybridization o Conventional cytogenetics studies are more difficult in solid tumors than hematological malignancies. Solid tumors comprise approximately 95% of all malignancies, but account for only a little over 25% of cases in published cytogenetic studies. The main reasons are :- Cytogenetics in Cancers o Cytogenetics is the study of the genetic constitution of individuals at the level of cells and chromosomes. o Cytogenetic studies of cancer have become an essential tool in clinical management of cancer patients. o Cytogenetic studies may be :- i) Conventional :- eg. karyotyping ii) Molecular techniques eg. FISH, multiplex FISH, comparative genomic hybridization o Conventional cytogenetics studies are more difficult in solid tumors than hematological malignancies. Solid tumors comprise approximately 95% of all malignancies, but account for only a little over 25% of cases in published cytogenetic studies. The main reasons are :-